First sign in sympathetic ophthamilis is :
1. Presence of aquous flare
2. Presence of precipitates
3. Constriction of pupil
4. Retrolental flare

Correct answer: 4. Retrolental flare

Explanation: D i.e. Retrolental flare